Which of the following plaque indices does not use a disclosing agent?
1. Plaque component of periodontal disease index
2. Debris component of simplified Oral Hygiene Index
3. Modified Quigley Hein Plaque Index
4. All of the above.

Correct answer: 2. Debris component of simplified Oral Hygiene Index